D_Dimer is the most sensitive diagnosis test for
1. Pulmonary embolism
2. Acute pulmonary oedema
3. Cardiac tamponade
4. Acute myocardial infraction

Correct answer: 1. Pulmonary embolism

Explanation: Ref Robbins 9/e p127 D-Dimer ia a fibrin degradation product ,a small protein fragment present in blood after a blood clot is degraded by fibrinolysis,it is so named because it contains 2crosselinkedDFragments of fibrinogen protein